What is the embryolgical remnant of median umbilical ligament?
1. Urachus
2. Allantois
3. Amnion
4. Yolk sac

Correct answer: 1. Urachus

Explanation: Median umbilical ligament is a remnant of urachus If patent urachus in adults, urine dribbles from umbilicus known as wheeping umbilicus